Which of the following respiratory rate refers to fast breathing in a 3 year old child?
1. > 60
2. > 30
3. > 40
4. > 20

Correct answer: 3. > 40

Explanation: Normal paediatric respiratory rate in: Newborns and infants: Up to 6 months old - 30-60 breaths/min Infants: 6 to 12 months old - 24-30 breaths/min Toddlers and children: 1 to 5 years old - 20-30 breaths/min Children: 6 to 12 years - 12-20 breaths/min